Millennium development goal targets to reduce MMR in 2015 by: (2014 Feb REPEAT)
1. 0.25
2. 0.75
3. 0.5
4. 1

Correct answer: 2. 0.75

Explanation: Ans: B (0.75) Ref: Park's Textbook of Preventive and Social Medicine, 22nd edition, pg: 835Explanation:Millennium Development Goals (MDGs)MDGs are eight goals to be achieved by 2015 that respond to the world's main development challenged.It was adopted in 2000.MDG was set by UN.Indicators were compared from 1990 to 2015.There are totally, 8 goals, 21 quantifiable targets and 60 indicators.Out of these, 3 goals, 8 targets and 18 indicators are directly related to health.8 MDGs are:Goal 1: To eradicate extreme poverty and hunger.Goal 2: To achieve universal primary education.Goal 3: To promote gender equality and empowering women.Goal 4: To reduce child mortality rates.Goal 5: To improve maternal health.Goal 6: To combat HIV/AIDS, malaria, and other diseases.Goal 7: To ensure environmental sustainability.Goal 8: To develop a global partnership for development.Some Important Health Related MDGsGoatsTargetDescriptionGoal 4 (To reduce child mortality rates!Target 4. AReduce the Under five mortality rate by two thirds (2/3rd or 66.6%) between 1930 to 2015Goal 5 (To improve maternal health)Target 5. AReduce the maternal mortality rate (MMR) by three quarters (3/4th or 0.75) between 1930 - 2015Target 5. BAchieve Universal access 1o reproductive hearth by 2015